Foraminal brain herniation leads to?
1. Ipsilateral pupillary dilatation
2. Locked in state
3. Respiratory arrest
4. Ipsilateral hemiplegia

Correct answer: 3. Respiratory arrest

Explanation: Foraminal brain herniation leads to compression of the medulla leading to respiratory arrest. Third nerve palsy causing ipsilateral pupillary dilatation and ipsilateral hemiplegia occurs in uncal (midbrain) herniation Locked in state occurs due to a lesion of ventral pons.